Most common type of pneumoconiosis, associated with TB is?
1. Silicosis
2. Bysinosis
3. Asbestosis
4. Baggassosis

Correct answer: 1. Silicosis

Explanation: Ans. is 'a' i.e., Silicosis * Silicosis is associated with an increased susceptibility to T.B. It is postulated that silicosis results in depression of cell mediated immunity and the crystalline silica may inhibit the ability of pulmonary macrophages to kill phagocytosed mycobacteria. Nodules of silicotuberculosis often display a central zone of caseation.